All the following statements are true regarding torsion of testis EXCEPT
1. Anatomical abnormality is unilateral and contralateral testis should not be fixed
2. Prompt exploration and twisting & fixation is the only way to save the torted testis
3. Most common between 10 & 25 years of age
4. Inversion of testis is the most common predisposing cause

Correct answer: 1. Anatomical abnormality is unilateral and contralateral testis should not be fixed

Explanation: Ans. (a) Anatomical abnormality is unilateral and contralateral testis should not be fixedRef: Bailey and Love 26th ed. /1379Anatomical abnormality is unilateral and contralateral testis should not be fixedThe other testis should also be fixed because the anatomical predisposition is likely to be bilateral. An infarcted testis should be removed and prosthetic device deployed.Prompt exploration and twisting & fixation is the only way to save the torted testisMost common between 10 & 25 years of ageInversion of testis is the most common predisposing causePatient presents with sudden agonising pain in the groin and the lower abdomen. The patient feels nauseated and may vomit.If the testis is viable when the cord is untwisted it should be prevented from twisting again by fixation with non- absorbable sutures between the tunica vaginalis and the tunica albuginea.Testicular torsion is most common between 10 and 25 years of age, although a few cases occur in infancy.Inversion of the testis is the most common predisposing cause.The testis is rotated so that it lies transversely or upside down.